All except one are true regarding Barrett's esophagus-
1. More incidence of sq. cell ca
2. Metaplasia
3. Columnar epithelium
4. Involves lower oesophagus

Correct answer: 1. More incidence of sq. cell ca

Explanation: There is an increased incidence of adenocarcinoma in Barret's esophagus. Barrett's esophagus is a premalignant condition with an increased incidence of adenocarcinoma of esophagus. The risk of adenocarcinoma increases with increasing length of columnar-lined epithelium Also, remember Barrett's esophagus is the single most important risk factor for adenocarcinoma of esophagus. The adenocarcinoma develops at the squamo-columnar junction (-85%) or within 2 cm of the junction. Ref : Bailey & Love 25/e p1022